If a value is chosen from a community, what is the probability that it will be above the median -
1. 0.25
2. 0.5
3. 0.6
4. 1

Correct answer: 2. 0.5

Explanation: In normal distribution, 50% values fall above and 50% below the central value (mean / median).